A lady with 12 wks of pregnancy having fasting blood glucose 170 mg/dl, the antidiabetic drug of choice is :
1. Insulin
2. Metformin
3. Glipizide
4. Glibenclamide

Correct answer: 1. Insulin

Explanation: Ans. is a i.e. Insulin Fasting blood glucose 170 mg/dl, in a pregnant female indicates diabetes (Fasting blood glucose > 126 mg/dl is frankly abnormal and indicates diabetes). In such cases insulin should be started as it is the only antidiabetic drug which can be used during pregnancy. (except for glyburide which is not given in options).